Treatment of choice for angiofibroma is
1. Surgery
2. Radiotherapy
3. Both
4. Chemotherapy

Correct answer: 1. Surgery

Explanation: Surgical excision is the treatment of choice though radiotherapy and chemotherapy singly or in combination have also been used. Spontaneous regression of the tumour with the advancement of age, as thought previously, does not occur and no wait and watch policy should be adopted Ref:(Diseases of Ear, Nose and Throat, P.L Dhingra, 7th edition, page 281 )